True about Cephal-hematoma:
1. Jaundice is prolonged due to cephal-hematoma
2. Crosses the suture line
3. Appears on occiput in first few hours of life
4. Due to rupture of bridging arteries

Correct answer: 1. Jaundice is prolonged due to cephal-hematoma

Explanation: Ans. (a) Jaundice prolongation due to cephalhematomaRef.-.Harrison 18th ed., chapter 61* Cephalhematoma is seen due to birth trauma, and represents sub-periosteal hemorrhage.* The hematoma is limited sharply by the margins of the bone and does not cross suture lines.* In first 2 weeks, the hematoma is of soft tissue density due to its blood contents and X skull films show the swelling as a soft tissue "mass" which is limited at its margins by the cranial sutures.